A 25 year old female comes to OPD with history of spots, red bumps that are located principally on the proximal cheeks, central chin, nose and central forehead. It gets aggravated on sun exposure. On examination, telangiectasia is seen on cheeks. What is the most probable cause ?
1. Polymorphic light eruption
2. SLE
3. Acne vulgaris
4. Rosacea

Correct answer: 4. Rosacea

Explanation: The given clinical scenario is of Rosacea as it gets aggravated on exposure to sunlight, redness seen on face convexities and telangiectasia Rosacea has 4 subtypes : Subtype 1: Erythematotelangiectatic rosacea (ETTR). Subtype 2: Papulopustular rosacea (PPR). Subtype 3: Phymatous rosacea (PR). Subtype 4: Ocular rosacea (OR). In SLE, rash spares Nasolabial fold